Which of the following is true regarding Gower sign?
1. Use of hands on thighs to stand up
2. Seen only in Duchenne muscular dystrophy
3. Due to distal muscle weakness
4. All of the above

Correct answer: 1. Use of hands on thighs to stand up

Explanation: Gower sign is using of hands to "walk-up" their own body from a squatting position. The patient used his hands to compensate for the proximal muscle weakness of the lower limb. Gower sign is classically seen in Duchenne muscular dystrophy, but is also present in dermatomyosistis and Becker's muscular dystrophy. Ref: nelson textbook of pediatrics 21st edition Pgno: 3281